Latanoprost used topically in glaucoma primarily acts by?
1. Decreasing aqueous humor formation
2. Increasing uveoscleral outflow
3. Releasing pupillary block
4. Increasing trabecular outflow

Correct answer: 2. Increasing uveoscleral outflow

Explanation: Ans. is 'b' i.e., Increasing uveoscleral outflow